A failure of the tricuspid leaflets to attach to the annulus fibrosus will result in which of the following?
1. Persistent truncus arteriosus (PTA)
2. Ebstein's anomaly
3. Transposition of the great arteries
4. Common ventricle

Correct answer: 2. Ebstein's anomaly

Explanation: B. Failure of fusion of the tricuspid leaflets with the annulus fibrosus results in Ebstein's anomaly PTA and TOF is a defect of aortopulmonary septum.